Which vessels gets affected by atherosclerosis more commonly
1. LCX
2. LAD
3. RCD
4. Digonal branch of LAD

Correct answer: 2. LAD

Explanation: Lef Anterior Descending is the vessel that is more commonly affected by atherosclerosis.